In which of the following differential cyanosis found ?
1. VSD with reversal of shunt
2. PDA with reversal of shunt
3. ASD with reversal of shunt
4. Tetralogy of Fallot

Correct answer: 2. PDA with reversal of shunt

Explanation: In PDA the shunt is between pulmonary artery and aorta distal to subclavian artery resulting in differential cyanosis. Ref : Ghai essential of pediatrics, eighth edition, p.no:417